Kyoto Protocol is for;
1. Water sanitization
2. Food and nutrition
3. To reduce greenhouse gas emission
4. Water chlorination

Correct answer: 3. To reduce greenhouse gas emission

Explanation: Kyoto protocol is designated towards reducing greenhouse gas emission. It was signed by 187 countries on 16th Feb, 2005. It includes CO2, N20, CFC, CH4, SF6 and PFC. It is linked to the United Nations Framework Convention on Climate Change (UNFCCC).